Causes of dysfunctional uterine bleeding can be:a) Uterine polypb) Fibroidc) Granulosa cell tumourd) Irregular ripening of endometriume) Irregular shedding of endometrium
1. ab
2. bc
3. cd
4. de

Correct answer: 4. de

Explanation: DUB is defined as a state of abnormal uterine bleeding without any clinically detectable organic pelvic pathology.
DUB is of 2 types:      1. Anovulatory (80%)
                                      2. Ovulatory (20%)
Anovulatory (80%):   • Threshold bleeding of puberty menorrhagia
                                     • Metropathia hemorrhagica/ cystic glandular hyperplasia
                                     • Premenopausal DUB (Atrophy of endometrium).
Ovulatory (20%):       • Irregular ripening of corpus luteum
                                     • Irregular shedding of corpus luteum
                                     • IUCD insertion
                                     • Following sterilization operation.